Aspergilloma has -
1. Septate hyphae
2. Pseudohyphae
3. Metachromatic hyphae
4. No hyphae

Correct answer: 1. Septate hyphae